Oroya fever is caused by:
1. B. bacilliformis
2. B. henselae
3. B. quintana
4. B. elizabethae

Correct answer: 1. B. bacilliformis

Explanation: Ans: a. B. bacilliformis Bartonellosis, or Carrion's disease, is caused by B. bacilliformisBartonellosis, or Carrion's disease, is caused by B. bacilliformis. The disease is characterized by two distinct phases:an acute febrile hematic phase, known as Oroya fever; andan eruptive phase manifested by cutaneous lesions, known as verruga peruana